Which of the following statin has the longest Half Life
1. Cerivastatin
2. Rosuvastatin
3. Atorvastatin
4. Simvastatin

Correct answer: 2. Rosuvastatin

Explanation: Refer kDT 7/e 637 Rosuvastatin is primarily eliminated by excretion in the feces. The elimination half-lifeof rosuvastatin is approximately 19 hours.Rosuvastatin is not extensively metabolized; approximately 10% of a radiolabeled dose is recovered as metabolite. In contrast, the FDA suggests daytime administration for statins with longer half-lives (atorvastatin 14 hours, rosuvastatin 19 hours, and pravastatin 22 hours). Atorvastatin also has active metabolites withhalf-lives ranging from 20 to 30 hours, which may contribute to the fact that it can be taken at any time